The drug of choice for chemoprophylaxis in contacts of a patient of penumonic plague is -
1. Penicillin
2. Rifampicin
3. Erythromycin
4. Tetracycline

Correct answer: 4. Tetracycline

Explanation: Ans. is 'd' i.e., Tetracycline Chemoprophylaxis o Chemoprophylaxis refers to the administration of a drug for the purpose of preventing disease or infection. Indications for chemoprophylaxis Disease Chemoprophylaxis Cholera Tetracycline or furazolidone for house-hold contacts Conjuncitivitis Erythromycin ophthalmic ointment Diphtheria Erythromycin (and first dose of vaccine) Influenza Amantadine (effective only for type A) for contacts suffering from chronic diaeases Malaria Chloroquine Meningitis Sulphadiazine for 4 days only meningococcal if the strain is shwon to be non-resistant, for household and close community contacts; immunization should be initiate in all cases (against serogrops A, and C). However, now rifampicin is the DOC for chemoprophylaxis. Plague Tetracycline for contacts of pneumonic plague